Earliest presentation of Friedrich's ataxia is -
1. Ataxia
2. Seizures
3. Optic atrophy
4. Stuttering

Correct answer: 1. Ataxia